Biotin is a Co-enzyme for -
1. Transketolase
2. Dehydrogenase
3. Oxidase
4. Carboxylase

Correct answer: 4. Carboxylase

Explanation: Ans. is 'd' i.e., Carboxylase VitaminActive form (coenzymes)Reaction typeB1 (Thiamin)Thiamine pyrophosphate (TPP)Oxidative decarboxylation, TransketolationB2 (Riboflavin)FMN, FADOxidation / Reduction (Redox reaction)B3 (Niacin)NAD+, NADP+Oxidation / Reduction (Redox reaction)B6 (Pyridoxin)Pyridoxal phosphate (PLP)Transamination, deamination, decarboxylation, condensation, trans-sulfurationB12 (cobolamin)Methylcobalamin. deoxyadenosy Icoba lam inIsomerization of meihylmelonyl-CoA to succinyl-CoA, synthesis of methionine from homocysteineFolic acidTetrahydrofolate (THF)One carbon group transferBiotinBiocytinCarboxylationPantothenic acidPentothenate in Co A and ACPAcyl group transferVitamin KVitamin KCarboxylation of glutamic acid residue